Vitamin A is stored in
1. Retina
2. Liver
3. Bone
4. Kidney

Correct answer: 2. Liver

Explanation: The liver contains ~90% of the vitamin A reserves and secretes vitamin A in the form of retinol, which is bound to retinol binding protein.Ref: Harrison's Principles of Internal Medicine; 19th edition; Chapter 96e; Vitamin and Trace Mineral Deficiency and Excess